Asthenospermia means:
1. Reduction in number of sperms
2. Reduction in motility of sperms
3. Absence of sperms
4. Absence of semen

Correct answer: 2. Reduction in motility of sperms

Explanation: Ans. B: Reduction in motility of sperms Asthenozoospermia/"asthenospermia" is the term for reduced sperm motility. It decreases the sperm quality and is therefore one of the major causes of infertility or reduced fertility in men